Where the endoderm and ectoderm approach each other in the head & neck region during the 4th week
1. Pharyngeal Grooves
2. Pharyngeal pouch
3. Pharyngeal membrane
4. Pharyngeal arch

Correct answer: 3. Pharyngeal membrane

Explanation: C i.e. Pharyngeal membrane